D–tubocurarine acts by –
1. Inhibiting nicotinic receptors at myoneural junction
2. Inhibiting nicotinic receptors at autonomic ganglion
3. Producing depolarizing block
4. By inhibiting reuptake of acetylcholine

Correct answer: 1. Inhibiting nicotinic receptors at myoneural junction

Explanation: All non-depolarizing blockers (D-tubocurarine) act as competitive antagonist of acetylcholine on nicotinic (Nm) receptors at myoneural junction.